Gunshot residue on hands can be detected by -
1. Phenolphthalein test
2. Dermal nitrate test
3. Benzidine test
4. Hydrogen activation analysis

Correct answer: 2. Dermal nitrate test

Explanation: The synopsis of forensic medicine & toxicology ;Dr k.s narayan reddy ; 28th edition ; pg.no . 136 Paraffin test or dermal nitrate test is done to detect nitrates and nitrites .Melted paraffin is brushed on hand ,the wax is removed & the inner surface of wax cast treated with diphenylamine or diphenylbenzedine reagent ,a blue colour developes where residue is present ,but it is obsolete .